A patient on the same evening following thyroidectomy presents with a swelling in the neck and difficult breathing. Next management would be:
1. Open immediatly
2. Intubate oro-tracheally
3. Wait and watch
4. Administer oxygen by mask

Correct answer: 1. Open immediatly

Explanation: The next step should be opening the sutures and release the tension hematoma which is causing difficulty in breathing. Ref: Harrison's Internal Medicine, 18th Edition, Page 362; Bailey and Love's Short Practice of Surgery, 25th Edition, Page 790, 792 and 23rd Edition, Page 727.